Most common type of schizophrenia is:
1. Paranoid
2. Simple
3. Catatonic
4. Undifferentiated

Correct answer: 1. Paranoid

Explanation: Ans. A: Paranoid The different types of schizophrenia are based on the specific symptoms a person is experiencing. Since the symptoms of schizophrenia can change over time, it is possible for a person to have more than one type during his or her lifetime. Schizophrenia types include: Paranoid schizophrenia Disorganized (hebephrenic) schizophrenia Catatonic schizophrenia Residual and latent schizophrenia Undifferentiated disorder-This is a very common type of schizophrenia. Simple schizophrenia Post-schizophrenic depression Others.